Which of the following reactions generates ATP?
1. Glucose-3-phosphate to 1,3 BPG
2. Glucose-3-phosphate to Dihydroxyacetone phosphate
3. Phosphoenolpyruvate  to Pyruvate
4. Pyruvate to Lactate

Correct answer: 3. Phosphoenolpyruvate  to Pyruvate

Explanation: Option C is an example for substrate level phosphorylation. Another example is 1,3 BPG to 3 phosphoglycerate.